Human immunodeficiency virus (HIV) has been isolated from many body fluids. Which of the following is a major source of transmission?
1. Tears
2. Sweat
3. Semen
4. Urine

Correct answer: 3. Semen

Explanation: HIV has been isolated from blood, semen, vaginal secretions, saliva, tears, breast milk, CSF, amniotic fluid, and urine. It is an extremely fastidious virus that ordinarily is transmitted only after repeated admixture of body fluids. Blood and semen are by far the major transmission fluids.